CA - 125 is specifically associated with
1. Colon Ca
2. Breast Ca
3. Ovarian Ca
4. Bronchogenic Ca

Correct answer: 3. Ovarian Ca

Explanation: Ans. is c i.e. Ovarian ca CA 125 is raised in all the options given in the question but it is specific for Epithelial ovarian cancers. Tumour Epithelial cell tumour of ovary Breast carcinoma Bronchogenic carcinoma Colon carcinoma Tumour marker CA- 125 CA 18 - 9 Neuron specific enolase CEA (Carcinoembyronic Antigen